Gutter fracture result from :
1. Injury with a large round object
2. Bullet injuries
3. Automobile accident
4. Falling from a height

Correct answer: 2. Bullet injuries

Explanation: B i.e. Bullet injury